Which is the most common site for extrathoracic metastases in patients with lung carcinoma -
1. Kidneys
2. Liver
3. Vertebral body
4. Adrenal glands

Correct answer: 4. Adrenal glands

Explanation: Ans. is 'd' i.e.. Adrenal glands